Relaxin during pregnancy is secreted by :
1. Corpus luteum
2. Decidua
3. Both of the above
4. None of the above

Correct answer: 3. Both of the above

Explanation: It is a peptide hormone structurally related to insulin. The main source of production is the corpus luteum of the ovary but part of it may be also produced by the placenta and decidua. It has been claimed that relaxin relaxes myometrium, the symphysis and sacroiliac joints during pregnancy and also helps in cervical ripening by its biochemical effect. Reference:textbook of obstetric,Dutta,7nd edition,page no:68